Consider the following - Goodpasture syndrome Myasthenia gravis Guillain-Barre syndrome In which of the above conditions may plasmapheresis be useful?
1. 1 only
2. 1 and 2 only
3. 2 and 3 only
4. 1, 2, and 3

Correct answer: 4. 1, 2, and 3

Explanation: Three general types of plasmapheresis can be distinguished: Autologuous, removing blood plasma, treating it in some way, and returning it to the same person, as a therapy. Exchange, removing blood plasma and exchanging it with blood products to be donated to the recipient. This type is called plasma exchange (PE, PLEX, or PEX) or plasma exchange therapy (PET). The removed plasma is discarded and the patient receives replacement donor plasma, albumin, or a combination of albumin and saline (usually 70% albumin and 30% saline). Donation, removing blood plasma, separating its components, and returning some of them to the same person while holding out others to become blood products donated by the donor. In such a plasma donation procedure, blood is removed from the body, blood cells and plasma are separated, and the blood cells are returned while the plasma is collected and frozen to preserve it for eventual use as fresh frozen plasma or as an ingredient in the manufacture of a variety of medications. Plasmapheresis of the autologuous and exchange types is used to treat a variety of disorders, including those of the immune system, such as Goodpasture's syndrome,Guillain-Barre syndrome, lupus, myasthenia gravis,and thrombotic thrombocytopenic purpura Ref Davidson 23rd edition pg 981